A 45 year old was given steroids after renal transplant. After 2 years he had difficulty in walking and pain in both hips. Which one of the following is most likely cause -
1. Primary osteoarthritis
2. Avascular necrosis
3. Tuberculosis
4. Aluminum toxicity

Correct answer: 2. Avascular necrosis

Explanation: High dose corticosteroid & alcohol abuse are the commonest causes of avascular necrosis,the commonest site being femoral head.the mechanism is intravascular thrombosis-hyperlipidemia & fatty degeneration of liver;fat embolism give rise tocapillary endothelial damage,platelet aggregation & thrombosis. reference:Apleys,9th edition,page no104